All of the following vaccines are contraindicated in pregnancy EXCEPT:
1. Measles
2. Rubella
3. BCG
4. Tetanus

Correct answer: 4. Tetanus

Explanation: Ans. (d) TetanusRef : K. Park 23rd ed. / 312* All live and meningococcal vaccines are C/I in pregnancy EXCEPT: YF and OPV* Measles, rubella and BCG are live vaccines while Tetanus is from toxoid category.* Remember, these live vaccines can't cross the placenta* These vaccines are still contraindicated because pregnancy is an immune-compromised state, they might harm mother.Vaccines Indicated During Pregnancy* Killed* Toxoids (tetanus)* Cell fraction (Hep A, Hep B)* OPV and YF